All of the following inhibit cell wall synthesis EXCEPT
1. Aminoglycosides
2. Cephalosporins
3. Bacitracin
4. Meropenem

Correct answer: 1. Aminoglycosides

Explanation: i.e. (Aminoglycosides): (669, 709-KDT 6th) (852-53-H17th)Aminoglycosides (Streptomycin, Gentamicin etc) causes mis reading of mRNA code and affect permeabilityMECHANISM OF ACTION1. Inhibit cell wall synthesis - Penicillins, Cephalosporins, Cycloserine, Vancomycin, Bacitracin2. Cause leakage from cell membranes:- Polypeptides - Polymyxins, Colistin, Bacitracin, Polyenes - Amphotericin B, Nystatin, Hamycin, Gramicidin, Daptomycin3. Inhibit protein synthesis; - Tetracyclines, chloramphenicol, Erythromycin, Clindamycin, Linezolid, aminoglycosides, Mupirocin, Quinopristin / dalpopristin4. Inhibit DNA gyrase: fluoroquinolones - Ciprofloxacin and others novobiocin5. Interfere with DNA function : Rifampin, Metronidazole6. Interfere with DNA synthesis: - Acyclovir, Zidovudine7. Interfere with inter mediary metabolism : Sulfonamides sulfones, PAS, Trimethoprim, Pyrimothamine, Ethambutol* Virtually all the antibiotics that inhibit cell wall synthesis are bactericidal. That is they eventually result in the cells death due to osmoticlysis (852-53-H17th)Examples - Bacitracin, Glycopeptides (Vancomycin and teicoplanin) p- lactam antibiotics (paricillins, cephalosporins, Carbapenems**) (imipenem, meropenem feropenem) and monobactams** (Aztreonam)